A person has unprotected sex 3 weeks back. To rule out HIV infection the best test is:
1. P24 antigen assay
2. ELISA
3. Western blot
4. Lymphnode biopsy

Correct answer: 1. P24 antigen assay

Explanation: Ans. a. P24 antigen assay